Thrombocytopenia, macerated skin lesions, rash and periostitis in a new born are seen in
1. Erythroblastosis fetalis
2. Cytomegalovirils infection
3. Syphilis
4. HIV infection

Correct answer: 3. Syphilis

Explanation: In Syphilis, thrombocytopenia is often associated with platelet trapping in an enlarged spleen. Characteristic osteochondritis and periostitis and a mucocutaneous rash manifesting with erythematous maculopapular or vesiculobullous lesions followed by desquamation involving hands and feet are common. Reference : Nelson textbook of pediatrics 19th edition Page 1017 & 1018